Eustachian tube opens in?
1. Inner ear
2. Middle ear
3. Outer ear
4. Larynx

Correct answer: 2. Middle ear

Explanation: Ans. is 'b' i.e., Middle ear * Eustachian tube (pharyngotympanic tube) is a channel connecting the tympanic cavity (middle ear cavity) with nasopharynx. Therefore, ear infection can travel to throat through eustachian tube and vice-versa.* Eustachion tube opens into anterior wall (carotid wall) of medial ear.